Which of the following is associated with Renal Papillary Necrosis
1. Alcohol
2. Heroine
3. Morphine
4. Tramadol

Correct answer: 1. Alcohol

Explanation: Answer is A (Alcohol) Chronic Alcoholism is an established cause of Renal Papillary Necrosis.